Diffuse epidermal hyperplasia is
1. Hyperkeratosis
2. Parakeratosis
3. Acanthosis
4. Erosion

Correct answer: 3. Acanthosis